Spermicidal agent among the following is
1. Nonoxynol
2. Menfegol
3. Octoxynol
4. All of the above

Correct answer: 4. All of the above